All of the following statements about Laryngomalacia are true, Except-
1. It is the most common congenital anomaly of the larynx
2. It is associated with an omega shaped epiglotitis
3. Stridor is increased on crying and relieved on lying prone
4. Surgical Traceostomy is the treatment of choice

Correct answer: 4. Surgical Traceostomy is the treatment of choice